True about vitiligo are all except:
1. Surgical treatment is indicated if medical treatment fails
2. Leucotrichia is associated with good prognosis
3. Autoimmune condition
4. Skin biopsy specimen shows abscence of melanocytes.

Correct answer: 2. Leucotrichia is associated with good prognosis

Explanation: VITILIGO -Autoimmune disorder -Skin biopsy specimen shows absence of melanocytes. Poor prognostic factors: Leucotrichia Long standing type Lesions over bony prominences Acrofacial -Surgical treatment is indicated if medical treatment fails and disease is stable for >1 year. - Modalities : Skin grafting Non-cultured autologous melanocytic transfer Cultured autologous melanocytic transfer.